Lockwood ligament is found in
1. Orbit
2. Pharynx
3. Larynx
4. TMJ

Correct answer: 1. Orbit

Explanation: A i.e. Orbit - Hammock like check (support) ligament k/a suspensory ligament of Lockwood is found in orbit and it retains position of eye & prevent sagging.- Medial orbital wall is formed by body of sphenoid, frontal process of maxilla, lacrimal bone & orbital plate of ethmoidQ. (Mn Buffalo = BFLO).- Inferior orbital fissure lies between lesser wing floor and lateral wall (i.e. b/w maxilla & greater wing of sphenoid). Orbital floor is formed by palatine (orbital process), zygomatic bone & maxillail). Lateral orbital wall is formed by zygomatic (frontal process) & sphenoid (greater wing)Q.